Tram track calcification is feature of
1. Sturge Weber syndrome
2. CMV
3. Paragonimus cyst
4. Corpus callosal lipoma

Correct answer: 1. Sturge Weber syndrome

Explanation: Tram track calcification - Sturge weber.
Periventricular  - CMV.